Cryptococcus is least likely to cause infection of ?
1. Skin
2. Bone
3. Brain
4. Kidney

Correct answer: 4. Kidney

Explanation: Ans. is 'd' i.e., Kidney Crvptococcosis Acquired by inhalation of the fungus into the lungs. Rarely acquired through skin or mucosa. Pulmonary infection has a tendency toward spontaneous resolution and is frequently asymptomatic. Silent hematogenous spread to the brain occurs, especially in basal ganglia or the head of the caudate nucleus. C/Fs - Self limiting pulmonary infection Most common form of cryptococcosis (Green wood) Meningoencephalitis (most patients have at the time of diagnosis) Pulmonary symptoms Skin lesions (10%) Osteolytic lesions in bone (4%) Remember Cryptococcus in AIDS patient has less signs and symptoms. Focal lesion called cryptococcomas are more common in previously normal patient. Self limiting pulmonary infection is the most common form of cryptococcosis, but most patient present with meningoencephalitis. Headache is the most common symptom. Cryptococcal lung lesions do not calcify.